which vitamin in high doses causes macular oedema and macular cyst
1. vitamin A
2. D
3. E
4. NIACIN

Correct answer: 4. NIACIN

Explanation: Drugscause cystoid macular edema * Epinephrine *NIACIN *Paclitaxel *PG Analogs * Tamoxifen * Timslol REF : AK KHURANA 7TH ED